All the statements are true about exostosis except:
1. It occurs at the growing end of bone
2. Growth continues after skeletal maturity
3. It is covered by cartilaginous cap
4. Malignant transformation may occur

Correct answer: 2. Growth continues after skeletal maturity